A 50 - year - old male presents with a three year history of irritability, low mood, lack of interest in surrounding and general dissatisfaction with everything. There is no significant disruption in sleep and appetite. He is likely to be suffering from:
1. Major depression
2. No psychiatric disorder
3. Dysthymia
4. Chronic fatigue syndrome

Correct answer: 3. Dysthymia

Explanation: Long standing and less severe depressive symptoms along with normal sleep and appetite indicates Dysthymia. Dysthymia: Symptoms of depression are present but are not severe enough to cause socio-occupational disturbance with duration of more than 2 years